Which is most economical and best screening-
1. Mass screening
2. High risk screening
3. Multiphasic screening
4. Any of the above

Correct answer: 2. High risk screening

Explanation: Types of screening
Three types of screening have been described : -
a) Mass screening

Mass screening means the screening of a whole population or subgroup.
It is offered to all, irrespective of the particular risk individual may run of contracting the disease in question → So, it is not very useful preventive measure.

b) High risk or selective screening

It is applied selectively to high risk group, i.e., the group which has increased risk of developing certain disease/cancer.
For example screening of lung cancer in heavy smokers.
It is the most productive screening because the screening is done on concerned group (high risk), so there is proper utilization of resources.

c) Multiphasic screening

It has defined the application of two or more screening test in combination to a large number of people at one time than to carry out separate screening tests for single disease.
It increases the cost of health services without any observable benefit.